Which among the following doesn't cause an elevated serum alkaline phosphatase?
1. Paget's disease
2. Multiple myeloma
3. Ostiomalacia
4. Hypehyroidsm

Correct answer: 2. Multiple myeloma

Explanation: Serum ALP is normal in multiple myeloma. It's an important point. The most common cause of hypercalcemia in patients with hypercalcemia, decreased GFR, and anemia is multiple myeloma. Alkaline phosphatase is generally normal because there is only a limited osteoblastic response to myelomatous infiltrate in the marrow Calcium is elevated. Phosphate is elevated Alkaline phosphatase is normal PTH is suppressed PTHrP is normal or low Serum protein immunoelectrophoresis is abnormal